All of the following statements about Fungal Endocarditis are true except
1. Candida is the most common agent
2. Life-long antifungal agents may be required
3. Surgical treatment is often recommended
4. Good prognosis with treatment

Correct answer: 4. Good prognosis with treatment

Explanation: Answer- D. Good prognosis with treatmentMost commonly associated with candida and Aspergillus.Most commonly associted with i.v. drug abuse and prosthetic valves and suppressed immunity.Antifungal agents do not cure fungal carditis.Both medical and surgical management required.